Type I Rapidly progressive glomerulonephritis is seen in
1. SLE
2. IgA nephropathy
3. Henoch Schonlein purpura
4. Good pasture syndrome

Correct answer: 4. Good pasture syndrome

Explanation: Rapidly progressive glomerulonephritis (RPGN) is a syndrome of the kidney that is characterized by a rapid loss of kidney function, (usually a 50% decline in the glomerular filtration rate (GFR) within 3 months) with glomerular crescent formation seen in at least 50% or 75% of glomeruli seen on kidney biopsies. Refer robbins 9/e